Lacerated wound looks like incised wound over:
1. Scalp
2. Abdomen
3. Thigh
4. Forearm

Correct answer: 1. Scalp

Explanation: A i.e. Scalp